Middle meningel vessel damage results in -
1. Subdural hemorrhage
2. Subarachnoid hemorrhage
3. Intracerebral hemorrhage
4. Epidural hemorrhage

Correct answer: 4. Epidural hemorrhage